Non-Inflammatory arthritis is
1. Rheumatoid arthritis
2. Reiter's syndrome
3. Gonococcal arthritis
4. Osteo-arthritis

Correct answer: 4. Osteo-arthritis